Post mortem lividity is not seen in ?
1. Drowning in well
2. Drowning in a fast flowing river
3. Postmortem submersion
4. Drowning in chlorinated swimming pool

Correct answer: 2. Drowning in a fast flowing river

Explanation: Ans. is 'b' i.e., Drowning in a fast flowing river